The following condition is not associated with an Anti- phopholipid syndrome -
1. Venous thrombosis
2. Recurrent foetal loss
3. Thrombocytosis
4. Neurological manifestations

Correct answer: 3. Thrombocytosis

Explanation: Ans. is 'c' i.e., Thrombocytosis